SAFE strategy in trachoma programme include all except:
1. Screening
2. Antibiotics
3. Face washing
4. Environmental improvement

Correct answer: 1. Screening

Explanation: Ans. is 'a' i.e. Screening 'S' stands for Surgery not screening.'SAFE' strategy for TrachomaIts a WHO recommended strategy to fight trachoma.It includeSurgery - first component of the strategy for correction of trichiasis and entropionAntibiotics - Zithromax (azithromycin) single dose oral medication is used (Zithromax is donated by Pfizer Inc.) Tetracycline eye ointment was used before Pfizer donated Zithromax.Face washing -breaks the cycle of reinfection and prevents transmission of disease.Environmental Improvement - Poverty and poor living conditions contribute to high rates of blinding trachoma. Environmental improvement includesavailability of improved water suppliesimproved household sanitation, particularly safe disposal of feces.